Kanawati index is used for-
1. Socioeconomic status
2. Protein energy malnutrition
3. Food fortification
4. Non-communicable disease

Correct answer: 2. Protein energy malnutrition

Explanation: Ans. is 'b' i.e., Protein energy malnutrition* Kanawati index is used to classify protein energy malnutrition (PEM).Kanawati index =Mid arm circumference--------------------Head circumference* Normal value is 0-331. Values between 0-310 - 0-280 indicate mild PEM, values between 0-279 - 0-250 indicate moderate PEM and values less than 0-250 indicate severe PEM.